Polyhydramnios is associated with all EXCEPT:
1. Diabetes
2. Open spina bifida
3. Multiple pregnancy
4. Renal agenesis

Correct answer: 4. Renal agenesis

Explanation: (Renal agenesis) (212-Dutta 6th)POLYHYDRAMNIOSOLIGOHYDROMNIOS* Exceeds 200 ml liquor amniiEtiology(1) Fetal anomalies(a) anencephaly(b) open spina bifida(c) oesophageal or duodenal atresia(d) Facial clefts and neck masses(e) Hydrops fetalis due to Rh. Isoimmunization(2) Planceta - Chorioangioma of the planceta(3) Multiple pregnancy - More common in uniovular(4) Maternal - (I) Diabetes (ii) Cardiac or renal may lead to oedema of the placenta* Liquor amnii is deficient in amount to the extent of less then 200 ml at term.Etiology -(i) Intrauterine infection(ii) Drugs - PG Inhibitors, ACE inhibitors(iii) Renal agenesis or obstruction of urinary tract(iv) IUGR insufficiency(v) Amnion nodosum(vi) Post maturity (dysmaturity)(vii) Fetal chromosomal anomalies